SAFE strategy for Trachoma includes all of the following except:
1. Screening
2. Antibiotic
3. Face wash
4. Environmental improvement

Correct answer: 1. Screening

Explanation: A i.e. Screening